Repetitive stimulation increases pain sensation, The probable cause is:
1. Hyper-sensitization
2. Decreased reflex time
3. Increase in threshold of pain
4. Decreased receptor area

Correct answer: 1. Hyper-sensitization

Explanation: A i.e. Hyper - sensitization